Drug distribution in tissue true is all except ?
1. Chloroquine - eye
2. Ephedrine - bone
3. Digoxin - skeletal muscle
4. Minocycline - adipose tissue

Correct answer: 2. Ephedrine - bone

Explanation: Ans. is 'b' i.e., Ephedrine - bone